All of the following factors increase the risk of aminoglycoside renal toxicity, except:
1. Elderly person
2. Hypokalemia
3. Simultaneous use with penicillin
4. Aminoglycoside administration in recent past

Correct answer: 3. Simultaneous use with penicillin

Explanation: Administration of penicillin along with aminoglycoside does not increase the risk of aminoglycoside renal toxicity. Aminoglycosides are highly effective against gram negative bacteria whereas penicillins are effective against gram positive bacteria. Penicillins also increase the bactericidal activity of aminoglycosides. Combination of penicillins/cephalosporins and aminoglycosides is the treatment of choice for pseudomonas infections. Ref: The Spinal Cord Injured Patient By Bok Y. Lee, 2nd Edition, Page 82